Which of the following step of glycolysis is inhibited by iodoacetate?
1. Phosphoenol Pyruvate to Pyruvate
2. 2 Phosphoglycerate to Phosphoenol Pyruvate
3. Glyceradehyde 3 Phosphate to 1,3 bisphosphoglycerate
4. 3 Phosphoglycerate to 2 Phosphoglycerate

Correct answer: 3. Glyceradehyde 3 Phosphate to 1,3 bisphosphoglycerate